A person working in hot environment who consumes more water without salt is likely to develop a condition called –
1. Heat stroke
2. Heat exhaustion
3. Heat cramps
4. Heat hyperpyrexia

Correct answer: 3. Heat cramps